In bronchiectasis the following are seen except
1. Normal chest X-ray
2. Chest X-ray with cystic cavities and tramline appearance
3. Pleural effusion
4. Clubbing

Correct answer: 3. Pleural effusion